Calcipotriene is a
1. Vitamin A analogue
2. Vitamin B analogue
3. Vitamin C analogue
4. Vitamin D analogue

Correct answer: 4. Vitamin D analogue

Explanation: A topical vitamin D analogue (calcipotriene) and a retinoid (tazarotene) are also efficacious in the treatment of limited psoriasis and have largely replaced other topical agents such as coal tar, salicylic acid, and anthralin. Ref: Harrison 19e pg: 348